Which is not the component of carneys traid
1. GIST
2. Pulmonary chondromas
3. Osteoma
4. Extra adrenal paraganglioma

Correct answer: 3. Osteoma